'True regarding crohn's disease are A/E ?
1. Scleroderma
2. Transmural involvement
3. Cobble stone appearance
4. Skin involvement

Correct answer: 1. Scleroderma

Explanation: Ans. is 'a' i.e., Scleroderma o The skin involvement in Crohn's disease causes erythema nodosum, scleroderma does not occur in Crohn's disease. o Other extra intestinal manifestations of Crohn's disease: 1. Migratory polyarthritis 4. Sacroiliaitis 7. Ankylosing spondylitis 2. Uveitis 5. Hepatic pericholangitis 8. Primary sclerosing cholangitis